Optimal timing of administration of prophylactic antibiotic for surgical patients is:
1. At the induction of anesthesia
2. Any time during the surgical procedure
3. One hour after induction
4. One hour prior to induction of anesthesia

Correct answer: 1. At the induction of anesthesia

Explanation: IV administration at induction of anesthesia is optimal. If induction is not mentioned in the option go for 30 minutes to 1 hours before surgery.